All are TRUE regarding filariasis except ?
1. Man is an intermediate host.
2. Caused by wuchereria bancrofti
3. Involves lymphatic system
4. DEC is used in treatment

Correct answer: 1. Man is an intermediate host.

Explanation: Ans. is 'a' i.e., Man is an intermediate host